True regarding galactosemia
1. Intellectual disability occurs
2. Defect in epimerase
3. Defect in galactose 1PO4 uridyl transferase
4. All the above

Correct answer: 4. All the above

Explanation: Inability to metabolise galactose occurs in galactosemia which may be caused by deficiency of galactose-1-phosphate uridyl transferase,UDP-Galactose-4-Epirnerase and galactokinase.
Out of three, most common is Galactose =1-phosphate uridyl transferase deficiency.